Pneumococcal vaccine is given how much time before splenectomy
1. 2 weeks
2. 1 week
3. 3 days
4. 1 month

Correct answer: 1. 2 weeks

Explanation: It is given as a protection against pneumococcus. as there is reduced IgM, tuftin, properdin and other antibodies, phagocytosis of encapsulated bacteria is defective so post splenectomized patients are more prone to pneumococcal infection Reference: SRB 5th edition page no: 677